Absolute contraindication for IVP is:
1. Idiosyncrasy to iodine
2. Multiple myeloma
3. Raised blood urea
4. All of the above

Correct answer: 1. Idiosyncrasy to iodine

Explanation: Ans. Idiosyncrasy to iodine